Bilateral Painless parotid enlargement is seen in all except
1. Mumps
2. Alcoholics
3. Sarcoidosis
4. Diabetes mellitus

Correct answer: 1. Mumps

Explanation: Ans. is 'a' i.e., Mumps Bilateral parotid enlargement is seen in Viral infectionQ Metabolic causes Endocrinal Sarcoidosis Mumps Diabetes mcuitus Gonadal Amyloidosis Influenza Hyperlipoproteinemia hypofunction Sjogren's syndrome Epstein barr virus Chronic pancreatitis Acromegaly Coxackie virus A Hepatic cirrhosis CMV HIV